The Glossopharyngeal nerve supplies the posterior part of the tongue because it develops from the
1. Hyoid arch
2. Tuberculum impar
3. Mandibular arch
4. Hypobranchial eminence

Correct answer: 4. Hypobranchial eminence

Explanation: D i.e. Hypobranchial eminence- Tongue muscles originate from myoblast of occipital somitesQ. Thus tongue musculature is innervated by hypoglossal nerve.- Glossopharyngeal (9th) nerve supplies posterior (1/3) part of tongue because it develops from hypobrachial eminence (copula)Q.Parathyroid glands develop from 4th (superior) & 3rd (inferior para thyroid glands) pharyngeal endodermal pouchQ.